Best marker of iron deficiency anemia is?
1. Serum iron
2. Serum ferritin
3. Total iron binding capacity
4. Transferrin saturation

Correct answer: 2. Serum ferritin

Explanation: ANSWER: (B) Serum ferritinREF: Harrison's 18th ed ch: 103"Serum ferritin is the most specific and sensitive test for iron deficiency"Under steady-state conditions, the serum ferritin level correlates with total body iron stores; thus, the serum ferritinlevel is the most convenient laboratory test to estimate iron stores.